Multifocal tumor of vascular origin in a patient of AIDS?
1. Kaposi sarcoma
2. Astrocytoma
3. Gastric Carcinoma
4. Primary CNS lymphoma

Correct answer: 1. Kaposi sarcoma

Explanation: kaposi sarcoma commonly seen in patient with AIDS REF:ANANTHANARAYANAN TEXT BOOK OF MICROBIOLOGY 9EDITION PGNO.576